Pitted keratolysis affects -
1. Palm and soles
2. Face
3. Nails
4. All of the above

Correct answer: 1. Palm and soles

Explanation: Ans. is 'a' i.e., Palm & soles Pitted keratolysiso Caused by opportunistic bacteria Corynebacterium dermatophilus congolensis. Overgrowth of this bacteria occurs in people involved in wet work eg:-dishwahsers. Lesions looks like pits or crators due to sharply circumscribed round areas of keratolysis (loss of keratin). Affects palm and soles.